True about Trichotillomania is
1. Irresistible desire to set fire
2. Irresistible desire to steal things
3. Associated with patchy hair loss
4. Pathological gambling

Correct answer: 3. Associated with patchy hair loss

Explanation: (C) Associated with patchy hair loss # TRICHOTILLOMANIA (compulsive hair-pulling)> It is characterized by noticeable hair loss caused by person's persistent and recurrent failure to resists impulses to pull out hair.> There is an intense urge to pull out hair with mounting tension before the act and a sense of relief afterwards.> There is no pre-existent skin lesion or inflammation & hair pulling is not secondary to any delusion or hallucination. Irresistible desire to set fire ... Pyromania Irresistible desire to steal things ... Kleptomania Irresistible desire to pull hair... Trichotillomania Irresistible desire to drink ... Dipsomania Irresistible desire to dress like opposite sex ... Transvestism